An elderly woman suffering from schizophrenia is on antipsychotic medication. She developed purposeless involuntary facial and limb movements, constant chewing and puffing of cheeks. Which of the following drugs is least likely to be involved in this side effect -
1. Haloperidol
2. Clozapine
3. Fluphenazine
4. Loxapine

Correct answer: 2. Clozapine

Explanation: Purposeless involuntary facial and limb movements, constant chewing and puffing of checks suggest the diagnosis of tardive dyskinesia (an extrapyramidal side effect of antipsychotics).
Clozapine does not produce extrapyramidal side effects.